Axillary nerve is accompanied by which artery
1. Axillary
2. Subscapular
3. Anterior circumflex humeral
4. Posterior circumflex humeral

Correct answer: 4. Posterior circumflex humeral

Explanation: Posterior Circumflex humeral artery runs backwards, accompanied by axillary nerve, passes through the quadrangular intermuscular space, and ends by anastomosing with anterior Circumflex humeral artery around the surgical neck of humerus. BD Chaurasia 7th edition Page no: 53